All of the following are side effects of tacrolimus, EXCEPT:
1. Nephrotoxicity
2. Ototoxicity
3. Neurotoxicity
4. Hepatotoxicity

Correct answer: 2. Ototoxicity

Explanation: Side effects with the use of tacrolimus includes nephrotoxicity, hepatotoxicity, hypertension, tremor, seizures, diabetes mellitus, neuropathy and blurring of vision. No ototoxicity has been observed. Ref: KDT 6th Edition, Page 840; Immunopharmacology By Manzoor M. Khan, Pages 91-3; Goodman and Gilman's The Pharmacological Basis of Therapeutics, 10th Edition, Page 1470; Applied Clinical Pharmacokinetics By Baver, 2nd Edition, Page 685; Harrison's Principles of Internal Medicine, 17th Edition, Page 1987